66 year old female after tall developed pain while walking and shortening and external rotation of limb with broadening of trachanter is present. the possible diagnosis
1. Fracture neck femur
2. Fracture intertrochanteric femur
3. Acetabular fracture
4. Central dislocation  of Hip

Correct answer: 2. Fracture intertrochanteric femur